Which of the following does not contain uronic acid?
1. Heparin
2. Keratin sulfate
3. Chondroitin sulfate
4. Dermatan sulfate

Correct answer: 2. Keratin sulfate

Explanation: Glycosaminoglycans (mucopolysaccharides) are complex carbohydrates containing amino sugars and uronic acidsHeparin -Sulfated glucosamine +L iduronic acidKeratan sulfate - galactose + N-acetylglucosamineChondroitin sulfate - glucuronic acid + N-acetylglucosamineDermatan sulfate - L iduronic acid + N-acetylglucosamineReference: DM Vasudevan biochemistry 8th edition